Commonest site of herpes Gestationis is?
1. Periumbilical region
2. Flanks of abdomen
3. Vulva
4. Infraorbital

Correct answer: 1. Periumbilical region

Explanation: A. i.e. Periumblical region Spontaneous remissions & recurrences are very common in herpes gestationis which typically presents with abrupt onset, intensily pruritic urticarial lesions mostly on abdomen, often periumblical during late pregnancyQ.